Drug used in actinic keratosis is:
1. Methotrexate
2. Topical 5 FU
3. Topical mechlorethamine
4. Topical steroids

Correct answer: 2. Topical 5 FU

Explanation: The US Food and Drug Administration (FDA) has approved five medications for the treatment of actinic keratoses. These are topical 5-fluorouracil (5-FU), 5% and 3.75% imiquimod cream, topical diclofenac gel, ingenol mebutate, and photodynamic therapy with topical delta-aminolevulinic acid ESSENTIALS OF MEDICAL PHARMACOLOGY SIXTH EDITION -KD TRIPATHI Page:824